Ankle brachial pressure index is more than 1.3 in all except
1. Diabetes mellitus
2. Mural calcification
3. Renal insufficiency
4. Critical limb ischaemia

Correct answer: 4. Critical limb ischaemia

Explanation: In critical Limb ischaemia, ABPI is decreased (0.3).